Draughtsman appearance is seen with colonies of:
1. Streptococcus
2. Pneumococcus
3. Staphylococcus
4. Menngococcus

Correct answer: 2. Pneumococcus

Explanation: Ans. (b) PneumococcusRef: Microbiology by Ananthanarayan and Paniker 8th ed. 119, 63, 193* Due to alpha hemolysis, colonies of pneumococci resemble colonies of Str. viridans.* On further incubation the colonies of pneumococci become flat with raised edges and central umbonation, so that concentric rings are seen on the surface when viewed from above seems as draughtsman appearance or Carrom coin appearance.